Most common site of sub ependymal astrocytoma
1. Trigone of lateral ventricle
2. Foramen of Munro
3. Temporal horn of lateral ventricle
4. 4th ventricle

Correct answer: 2. Foramen of Munro

Explanation: Ans. is 'b' i.e. Foramen of Munro Most common site of subependymal astrocytoma is Foramen of monro.